An Anganwadi worker works as a cadre for which of the following programme?
1. ICDS
2. NRHM
3. RNTCP
4. IMNCI

Correct answer: 1. ICDS

Explanation: An Anganwadi worker works under the ICDS scheme. Each worker caters to about 1000 population. She undergoes training for a period of 4 months and forms an important link of the community to the health services. Ref: Park 21st edition page: 839.